Hypothyroidism may be caused by-
1. Ethionamide
2. Thiocetazone
3. Ethambutol
4. Streptomycin

Correct answer: 1. Ethionamide

Explanation: Ans. is 'a' i.e., Ethionamide